In which of the following conditions is a person held responsible for a crime
1. Alcoholic paranoia
2. Delirium tremens
3. Voluntary drunkenness
4. Dhatura intoxication

Correct answer: 3. Voluntary drunkenness

Explanation: C i.e. Voluantry drunkenness